A young pregnant woman presents with fulminant hepatic failure. The most likely aetiological agent is
1. Hepatitis B virus
2. Hepatitis C virus
3. Hepatitis E virus
4. Hepatitis A virus

Correct answer: 3. Hepatitis E virus